Neurovascular bundle of anterior compartment of leg passes between the tendons of
1. Extensor hallucis longus and Extensor digitorum longus
2. Extensor digitorum longus and peroneus tertius
3. Tibialis anterior and Extensor hallucis longus
4. Tibialis anterior and Extensor digitorum longus

Correct answer: 1. Extensor hallucis longus and Extensor digitorum longus

Explanation: ANTERIOR COMPARTMENT( leg):- Muscles:-1. Tibialis anterior 2. Extensor hallucis longus3. Extensor digitorum longus 4. Peroneus tertius. Artery:anterior tibial artery.The blood supply of anterior compartment is reinforced by the perforating branch of peroneal artery. Nerve:-Deep peroneal nerve. Arrangement:-From medial to lateral-Tibialis anterior EHLAnterior tibial artery and deep peroneal nerve EDLPeroneus tertius. {Reference: BDC 6E pg no.93 diagram 8.4}